All are absolute indications for amputation except,
1. Gas gangrene
2. Burger's gangrene
3. Frost bite
4. Diabetic gangrene

Correct answer: 3. Frost bite

Explanation: Indications of amputation
I - Absolute indications

Burger's gangrene
Diabetic gangrene 
Irreparable loss of blood supply of injured limb
Fulminant infection / gas gangrene

Relative indications

Infections
Trauma
Burns
Frost bite
Tumors